Strored blood, which h. as been preserved in a blood bank, is deficient in which of the following coagulation factors?
1. II only
2. II and VII
3. V and VIII
4. IX and X

Correct answer: 3. V and VIII

Explanation: The temperature in all areas of a refrigerator used for the storage of Red Blood Cells must be maintained between 1 and 6degC, and should have a fan for circulating air or be of capacity and design to ensure that the designated temperature is maintained and the blood may be deficit of v and vlll coagulation factors Ref Davidson 23rd edition pg 729